Triple helix is seen in -
1. Collagen
2. DNA
3. Elastin
4. RNA

Correct answer: 1. Collagen

Explanation: All collagen types have a triple helical structure.